A 28 yr old male who has a history of IV drug use presents with fatigue, palpable purpura, joint pains and abdominal pain. Urine analysis shows massive proteinuria. Which of the following viruses should be tested for in this patient?
1. Hepatitis A
2. Hepatitis E
3. Hepatitis C
4. Hepatitis D

Correct answer: 3. Hepatitis C

Explanation: This patients history and labs are suggestive of mixed cryoglobulinemia, which is associated with Hepatitis C. Hence, he should be tested for hepatitis C Reference: Ananthanarayan and Paniker's Textbook of Microbiology Tenth edition